While doing sigmoidoscopy, if the rectum is inflated with a gas increased peristalsis is seen in
1. Whole colon
2. Proximal colon
3. Distal colon
4. Whole intestine

Correct answer: 3. Distal colon

Explanation: Increase in intrarectal pressure initiates defecation reflex, so peristalsis increases in distal colon Ref: Ganong 25th ed/page 499